Gene for Wilson's disease is located on chromonsome
1. 7
2. 10
3. 13
4. 17

Correct answer: 3. 13

Explanation: Harshmohan textbook of pathology 7th edition. *Wilson's disease:the underlying defect in chromosome 13 is a mutation in ATP7B gene ,the normal hepatic copper exceeding gene.